Branched chain amino acid which is both ketogenic and glucogenic -
1. Leucine
2. Isoleucine
3. Valine
4. Tryptophan

Correct answer: 2. Isoleucine

Explanation: Ans. is 'b' i.e.. Isoleucine o Branched chain amino acids are leucine, Isoleucine and valine.Leucine is purely ketogenic.Isoleucine is both ketogenic and glucogenic.Valine is glucogenic.